A patient presented with abdominal pain, jaundice and melena. The diagnosis is
1. Hemobilia
2. Acute cholangitis
3. Carcinoma gallbladder
4. Acute pancreatitis

Correct answer: 1. Hemobilia

Explanation: Clinical features of Hemobilia Characterised by Quinck's triad (Sandblom's triad) : GI hemorrhage +biliary colic +jaundice Presentation: Melena (90 %), hemetemesis (60%), biliary colic (70%), and jaundice (60%). Tendency for delayed presentation (upto weeks) and recurrent brisk but limited bleeding over months and even years Ref : Sabiston 20th edition Pgno :1472-1474